Patent foramen ovate is due to?
1. Failure of closure of sinoatrial orifice
2. Failure of fusion of septum primum and endocardial cushion
3. Failure of fusion of septum primum and septum intermedium
4. Failure of fusion of septum primum and septum secundum

Correct answer: 4. Failure of fusion of septum primum and septum secundum

Explanation: Ans. is 'd' i.e., Failure of fusion of septum primum and septum secundumAfter birth, the foramanovale closes by fusion of septum primum with septum secundum.Failure of fusion of these two septa results in patent pramenovale.